Aim of mastoid surgery in CSOM which should receive first priority is:
1. Making the ear dry
2. Improvement in hearing
3. Preservation of hearing
4. Rendering the ear safe

Correct answer: 4. Rendering the ear safe

Explanation: CSOM is notorious for intracranial complications. The first priority in mastoid surgery is given to free drainage of pus to render the ear safe. Second priority is given to preserve or reconstruct hearing mechanism.